Skin grafting is absolutely C/I in which skin infection-
1. Staphylococus
2. Pseudomonas
3. Streptococus
4. Proteus

Correct answer: 3. Streptococus

Explanation: "The skin graft generally survives when placed over the wounds containing less than 105 organisms per gram of tissue unless the organisms are streptococci, which can rapidly dissolve transplanted skin." - S. Das 3/e, p 142